Drug having narrow therapeutic range is:
1. Lithium
2. Sertraline
3. Roboxetine
4. Dothiepin

Correct answer: 1. Lithium

Explanation: Therapeutic range is bounded by the dose which produces a minimal therapeutic effect and the dose which produces maximal acceptable adverse effect Lithium is an unsafe drug with a narrow therapeutic range- 0.6 - 1.2 mmol/L. Ref: KD Tripathi Pharmacology 7th edition (page no;56 )